Human milk contain more................as compared to animal milk?
1. Sugar
2. Fat
3. Protein
4. Mineral

Correct answer: 1. Sugar

Explanation: Milk is the best and most complete of all foods. It is a fine blend of all the nutrients necessary for growth and development of the young ones. Thus milk is a good source of proteins, fats, sugars, vitamins and minerals. Nutritive value of milks compared (value per 100 grams) Buffalo Cow Human Fat (g) 6.5 4.1 3.4 Protein (g) 4.3 3.2 1.1 Lactose (g) 5.1 4.4 7.4 Calcium (mg) 210 120 28 Iron (mg) 0.2 0.2 Vitamin C (g) 1 2 3 Minerals (g) 0.8 0.8 0.1 Water (g) 81.0 87 88 Energy (kcal) 117 67 65